. Best for studying the decline in percentage of syphilis in men and women in last 10 years
1. Pie chart
2. Histogram
3. Frequency polygon
4. Line diagram

Correct answer: 4. Line diagram